Positive Rinne test indicates
1. AC > BC
2. BC > AC
3. BC = AC
4. None

Correct answer: 1. AC > BC

Explanation: In this test air conduction of the ear is compared with its bone conduction. It is a test for conductive deafness. Rinne Positive: AC > BC Rinne Negative: BC > AC (conductive deafness in that ear) Ref: Dhingra; 6th Edition; pg no 22